Which of the following is a third generation intruterine device ?
1. Cu-7
2. Tcu-200
3. Tcu-380A
4. Progestasert

Correct answer: 4. Progestasert

Explanation: Progestasert Progestasert is a 3rd Generation IUD (Medicated /Bio active IUD) Progestasert was the 'first hormonal device', developed in 1976 T-shaped device filled with 38 mg progesterone Rate of hormone release : 65 mcg per day Shelf life : 1-1 1/2 years. Advantages of progestasert : 1. IUD with "Lowest expulsion rate". 2. IUD with "Lowest removal rate" Ref: Park 25th edition Pgno : 547